Pancreatic islets consist of alpha, beta, and delta cells, which secrete glucagon, insulin, and somatostatin, respectively. These cells are derived from
1. Mesoderm
2. Endoderm
3. Ectoderm
4. Neuroectoderm

Correct answer: 2. Endoderm

Explanation: Pancreatic islets form as isolated clumps of cells that bud from endodermal tubules. As part of embryonic development, the pancreas forms as two buds from the foregut, an embryonic tube that is a precursor to the gastrointestinal tract. It is therefore of endodermal origin